False statement about Becker muscular dystrophy
1. X-linked recessive inherited disorder
2. Characterized by slowly progressive muscle weakness of the legs and pelvis
3. Gene involved is myosin
4. Duchenne muscular dystrophy is much more severe than Becker muscular dystrophy

Correct answer: 3. Gene involved is myosin

Explanation: (C) Gene involved is myosin # Becker muscular dystrophy (Benign pseudohypertrophic muscular dystrophy) is an X-linked recessive inherited disorder characterized by slowly progressive muscle weakness of the legs and pelvis.> It is a type of dystrophinopathy, which includes a spectrum of muscle diseases in which there is insufficient dystrophin produced in the muscle cells, resulting in instability in the structure of muscle cell membrane.> This is caused by mutations in the dystrophin gene, which encodes the protein dystrophin.> Becker muscular dystrophy is related to Duchenne muscular dystrophy in that both result from a mutation in the dystrophin gene, but in Duchenne muscular dystrophy no functional dystrophin is produced making DMD much more severe than BMD.> Elevated CPK levels are more common at younger ages and decreases later in life.> A muscle biopsy (immunohistochemistry or immunoblotting) or genetic test (blood test) confirms the diagnosis.